Preventive dose of anti D gamma globulin given to mother is-
1. 200 meg
2. 300 meg
3. 400 meg
4. 500 meg

Correct answer: 2. 300 meg

Explanation: Ans. is 'b' i.e., 300 meg Anti D gamma globulino Anti D gamma globulin is administered intramuscularly to the Rh negative mother in the dose of 300 micrograms intramuscularly following delivery.o Also all Rh negativeunsensitised women should receive 50 microgram of Rh immune globulin IM within 72 hours of induced or spontaneous abortion, ectopic or molar pregnancy or CVS in first trimester.o Women with pregnancy beyond 12 weeks should have full dose of300 microgram.o Generally dose of300 microgram protects a woman from fetal hemorrhage upto 36 ml of fetal whole blood.